Tuberculous pleural effusion is characterised by all of the following features except effusion :
1. Harmorrhagic effusion
2. Pleural fluid LDH more than 60% that of serum LDH.
3. Increased deaminase
4. Increased mesothelial cells

Correct answer: 4. Increased mesothelial cells

Explanation: Answer is D (Increased Mesothelial cells): Presence of Mesothelial cells > 5% make diagnosis of Tubercular effusion unlikely Characteristics of Tuberculous effusion Exudative Proteins increased (Pleural fluid protein / Serum protein > 0.5) Pleural fluid LDH increased (P. Fluid LDH/ Serum LDH > 0.6 Haemorrhagic Glucose: equal to serum levels; occasionally < 60 mg/di WBC count increased: predominant y small lymphocytes High levels of TB markers in pleural fluid Adenosine deominase > 45 IU/L Interferon V > 140 pg/mI Positive PCR for tuhercuthr DNA Eosinophils > 10% or mesothelial cells > 5% make diagnosis of tubercular effusion unlikely.